Recurrent pain abdomen with intestinal obstruction and mass passes per rectum goes in favour of -
1. Internal herniation
2. Stricture
3. Strangulated hernia
4. Intussusception

Correct answer: 4. Intussusception